The insulin preparation of choice in diabetic ketoacidosis is
1. Regular insulin
2. Lente insulin
3. Isophane insulin
4. A 30:70 mixture of plain and isophane insulin

Correct answer: 1. Regular insulin

Explanation: Diabetic ketoacidosis (Diabetic coma) Ketoacidosis of different grades generally occurs in insulin dependent diabetics. It is infrequent in type 2 DM. The most common precipitating cause is infection; others are trauma, stroke, pancreatitis, stressful conditions and inadequate doses of insulin Treatment of DKA:- 1. Insulin:- Regular insulin is used to rapidly correct the metabolic abnormalities. A bolus dose of 0.1-0.2 U/kg i.v. is followed by 0.1 U/kg/hr infusion; the rate is doubled if no significant fall in blood glucose occurs in 2 hr. Fall in blood glucose level by 10% per hour can be considered adequate response. Usually, within 4-6 hours blood glucose reaches 300 mg/dl. Then the rate of infusion is reduced to 2-3 U/hr. This is maintained till the patient becomes fully conscious and routine therapy with s.c. insulin is instituted. 2) I v. Fluids 3) kcl Ref:- kd tripathi; pg num:-267,268